Non-sympathomimetic Bronchodilator preferred in COPD:
1. Ipratropium bromide
2. Salmeterol
3. Terbutaline
4. Salbutamol

Correct answer: 1. Ipratropium bromide

Explanation: Ans. (a) Ipratropium bromideRef. Katzung pharmacology 10th ed. Ch 10* Ipratropium bromide is an anti-cholinergic agent/ Muscarinic antagonists which competitively inhibit the effect of acetylcholine at muscarinic receptors.* Ipratropium appears to be at least as effective in patients with COPD that includes a partially reversible component. A longer-acting, selective anti-muscarinic agent, tiotropium, is approved as a treatment for COPD.* Salbutamol and terbutaline are b2 agonist, used in acute cases of asthma.* Salmetrol is slow acting b2 agonist, used for prophylaxis of asthma.